Which of the following has opsonins on its surface:
1. IgG
2. IgM
3. IgE
4. IgA

Correct answer: 1. IgG

Explanation: Ans. A: IgG Examples of opsonin molecules include: Antibodies: IgG and IgA Components of the complement system: C3b, C4b, and iC3b Mannose-binding lectin (initiates the formation of C3b) The most important are IgG and C3b